Longest life span among following ?
1. RBC
2. Plalalets
3. Neutrophils
4. Macrophages

Correct answer: 4. Macrophages

Explanation: Ans. is 'd' i.e., Macrophages